Epidemics of Relapsing Fever are caused by:
1. Louse
2. Soft tick
3. Hard tick
4. Rat flea

Correct answer: 1. Louse

Explanation: Louse